Sensory supply of first web space of foot is by:
1. Superficial peroneal nerve
2. Deep peroneal nerve
3. Sural nerve
4. Saphenous nerve

Correct answer: 2. Deep peroneal nerve

Explanation: Ans. B. Deep peroneal nerveSensory supply of first web space of foot is by Deep peroneal nerve.Sensory supply of dorsum and sole of foot